Which of the following is seen during pregnancy?
1. Respiratory alkalosis
2. Respiratory acidosis
3. Metabolic alkalosis
4. Metabolic acidosis

Correct answer: 1. Respiratory alkalosis

Explanation: Respiratory alkalosis REF: Dutta 6th ed p. 55 Pregnancy is a state of respiratory alkalosis, hyperventillation is seen in it.